Regeneration of lost periodontium involves
1. Healing by new attachment formation
2. Healing by long junctional epithelium formation
3. Healing by re-attachment
4. Healing by scar formation

Correct answer: 1. Healing by new attachment formation